All are pathogens associated with pneumonia in chronic alcoholism, EXCEPT:
1. Streptococcus pneumoniae
2. Oral anaerobes
3. Acinetobacter spp
4. H.influenzae

Correct answer: 4. H.influenzae

Explanation: The pathogens known to cause pneumonia in patients with chronic alcoholism are: Streptococcus pneumoniae Oral anaerobes Klebsiella pneumoniae Acinetobacter spp Mycobacterium tuberculosis Ref: Harrison, E-18, P-2132